Fluoride in any form is contraindicated in:
1. Chronic renal failure
2. Osteoporosis
3. Hypertension
4. Thyrotoxicosis

Correct answer: 1. Chronic renal failure